Which of the following is not an anterior relation of second part of duodenum ?
1. gallbladder
2. transverse colon
3. transverse mesocolon
4. head of pancreas

Correct answer: 4. head of pancreas

Explanation: Anterior Visceral relation of 2nd part of duodenum: (a) Right lobe of the liver; (b) transverse colon, (c) root of the transverse mesocolon, and (d) small intestine. Ref : B D Chaurasia's Human Anatomy , seventh edition , volume 2 , pg. no., 286. FIG Ref : B D Chaurasia's Human Anatomy , seventh edition , volume 2, Fig. 20.8a ( pg. no., 286 ).